Gastrulation occurs during which week after fertilization?
1. 1st
2. 2nd
3. 3rd
4. None of the above

Correct answer: 3. 3rd

Explanation: The most characteristic event occurring during the third week is gastrulation, which begins with the appearance of the primitive streak, which has at its cephalic end the primitive node. In the region of the node and streak, epiblast cells move inward (invaginate) to form new cell layers, endoderm and mesoderm. Ref: Langman's embryology 11th edition Chapter 5.